Which of the following is not included in Picorna group of viruses?
1. Rhinovirus
2. HEV
3. HAV
4. Poliovirus

Correct answer: 2. HEV

Explanation: HEV is not included in Picorna group of viruses. It belongs to Family Caliciviridae. Rhinovirus, HAV and Polio virus belong to the Family Picornaviridae. Characteristics of the Family Picornaviridae: Very small ( pico: measuring small; rna: RNA virus) RNA viruses. The genome consists of a single linear molecule of single-stranded RNA. The family Picornaviridae consists of following genera: Enterovirus: disease in humans. Rhinovirus: disease in humans. Hepatovirus: disease in humans. Apthovirus Cardiovirus Ahrovirus and Cardiovirus : cause foot-and-mouth disease in cattle and meningoencephalomyelitis in mice.